What is the FIGO staging of Carcinoma ovary limited to true pelvis with negative nodes and microscopic implants present on peritoneal surface?
1. III A
2. III B
3. III C
4. None

Correct answer: 1. III A

Explanation: In FIGO stage IIIA of ovarian carcinoma, malignancy is truly limited to true pelvis with negative nodes and histologically confirmed microscopic seeding of abdominal peritoneal surfaces. In stage IIIB: Tumor involves one or both ovaries with histologically confirmed implants on abdominal peritoneal surfaces none more than 2cm in diameter without lymph node involvement. In stage IIIC: Involves abdominal implants more than 2cm in diameter and/or positive retroperitoneal or inguinal nodes.